Impaired insight is found in -a) Traumatic psychosisb) Schizophreniac) Anxiety neurosisd) Obsessive compulsive neurosis
1. ac
2. a
3. ad
4. ab

Correct answer: 4. ab

Explanation: Traumatic psychosis (organic psychosis) and schizophrenia are psychoes → loss of insight.